One of the following vitamins is involved in the post translational manifestation of Glutamate residue and has an important role in the coagulation pathway. Choose the vitamin from the below options?
1. Vit C
2. Vit K
3. Vit D
4. Vit B12

Correct answer: 2. Vit K

Explanation: Vitamin K is essential for the function of factors 2, 7, 9, and 10.